The antibiotic cover is mandatory before extraction in the following condition of the heart:
1. Ischemic heart disease (IHD)
2. Hypertension
3. Congestive cardiac failure
4. Congenital heart disease

Correct answer: 4. Congenital heart disease